Immediate sign of death is:
1. Fall in body temperature
2. Dilatation of pupil
3. Changes in skin
4. Cessation of respiration and circulation

Correct answer: 4. Cessation of respiration and circulation

Explanation: Ans. Cessation of respiration and circulation